Myxoviruses include -a) Orthomyxovirusb) Influenzac) Measlesd) Polioe) HSV
1. ab
2. bc
3. acd
4. abc

Correct answer: 4. abc